A 60 years old male presents with hematuria at onset of micturition, cause is:
1. Urethral stone
2. Bladder tumor
3. Ureteric stone
4. Prostatitis

Correct answer: 1. Urethral stone

Explanation: Ans. (a) Urethral stone* Blood at beginning of urination: Urethral problem* Blood at end of urination: Bladder problem* Blood mixed throughout the process: Prerenal, Renal or vesical